All of the following drugs are commonly used in regimens against H. pylori except:
1. Oxytetracycline
2. Amoxicillin
3. Bismuth Subcitrate
4. Omeprazole

Correct answer: 1. Oxytetracycline

Explanation: Answer is A (Oxytetracycline): Oxytetrocycline has not been mentioned as a recommended agent for eradication of H Pylori and hence is the single best answer of choice. Tetracycline and not Oxytetracycline forms part of the regimen. Amoxycillin, Bismuth subsalicylate and Omeprozole have all been recommended for H. Pylori eradication Recommended Regimens for Eradication of H. Pylori (Harrison) TRIPLE THERAPY' Bismuth subsalicylate plus Metronidazole plus Tetracycline Ranitidine bismuth citrate plus Tetracycline plus Clarithromycin or Metronidazole - PPI plus Clarithromycin plus Metronidazole or Amoxicillin QUADRUPLE THERAPY PPI plus Bismuth subsalicylate plus Metronidazole plus Tetracycline All PP1 are given twice daily except esomeprazolc (once daily) Proton Pump inhibitiors (PPI) include: Omeprazole (20mg), Lansaprazole (30mg) Rabeprazole (20 mg), Pantaprazole (40 mg), Esmaprozole (40 mg)